An organism grown on agar shows green coloured colonies, likely organism is -
1. Staphylococcus
2. Streptococcus
3. Pseudomonas
4. E. coli

Correct answer: 3. Pseudomonas

Explanation: Ans. is `c' i.e., Pseudomonas Pseudomonas aeruginosa . Morphology - Gram negative bacilli - Motile by polar flagellum - Non capsulated but many strains have mucoid slim layer especially the organisms which are isolated from cystic fibrosis patient. . Culture - Obligate aerobe - Colonies emit a distinctive, musty, mawkish, earthy or sweet grape-like odour or corn tocolike odour. - Cetrimide agar is a selective media. - Pseudomonas aeruginosa produces a numbers of pigments. The production of these pigments accounts for the colour of colonies. - Pyocyanin is produced only by P.aeruginosa and it inhibits the growth of many other bacteria. - Pyoverdin may be produced by many other species.